Which of the following is false?
1. Cofactors have functions similar to those of prosthetic groups.
2. Cofactors bind in a transient,dissociable manner to enzymes
3. The most common cofactors are metal ions
4. Enzymes that require metal ion cofactors are termed as metalloenzymes

Correct answer: 4. Enzymes that require metal ion cofactors are termed as metalloenzymes

Explanation: Enzymes that require metal ion cofactor are termed metal activated enzymes,whereas enzymes for which metal ions serve as prosthetic groups are termed as metalloenzymes. If a metal is tightly bound to an enzyme(prosthetic group),it is called metalloenzyme, while an enzyme(without the metal ion)showing enhanced activity on the addition pf a metal ion(co factor)is called as metal ion activated enzyme/metal activated enzyme. Metalloenzymes:Cytochromes(Fe,Cu),aldehyde oxidase(Mo),catechol oxidasse(Cu),Carbonic anhydrase(Zn). Cofactors: A cofactor is a non protein chemical compound or metallic ion that is required for an enzymes activity. cofactor bind in a transient,dissociable manner to enzymes.Therefore,unlike associated prosthetic groups,cofactors must be present in the medium surrounding the enzyme for catalysis to occur. The most common cofactors are metal ions Reference: Harpers illustrated biochemistry 31st edition pg 58